The lactoperoxidase thiocynate system present in saliva is against
1. A. actinomycetemcomitans
2. Streptococcus
3. P. gingivalis
4. Actinomyces

Correct answer: 2. Streptococcus